The following are true about chloral hydrate except-
1. Peculiar pungent odour
2. Crysstalline
3. Used as hypnotic
4. Sweetish taste

Correct answer: 4. Sweetish taste

Explanation: Chloral hydrate is a colorless, crystalline substance having peculiar pungent odour and pungent bitter test.